In fracture neck femur all the trabeculae of pelvis and femur are in alignment in which stage:
1. Stage I
2. Stage II
3. Stage III
4. Stage IV

Correct answer: 2. Stage II

Explanation: B i.e. Stage II Classification of Femoral Neck Fractures It can be classified according to Anatomical Fracture Angle Fracture Displacement Location (Pauwel's classification) (Garden Classification)